Tuberculin positive means?
1. Immunodeficient patient
2. Resistance to tuberculin protein
3. Patient is infected with mycobacterium
4. Patient is suffering from disease

Correct answer: 3. Patient is infected with mycobacterium

Explanation: A positive reaction to tuberculin test is generally accepted as evidence of past or present infection by M.tuberculosis. Reference; Park's Textbook of preventive and social medicine, 24th edition.Pg no. 195